Caspases are involved in?
1. Necrosis
2. Apoptosis
3. Atherosclerosis
4. Inflammation

Correct answer: 2. Apoptosis

Explanation: Ans. (b) ApoptosisRef: Robbiti's pathology 9th ed. /53-54Caspases are present in normal cells as inactive proenzymes and when they are activated they cleave proteins and induce apoptosis. These are cysteine proteases.